Which one of the following statement is true regarding pathogenicity of Mycobacteria species -
1. M. tuberculosis is more pathogenic than M.bovis to the humans
2. M. Kansasii can cause a disease indistinguishable from tuberculosis
3. M.Africanum infection is acquired from the environmental source
4. M.Marinum is responsible for tubercular lymphadenopathy

Correct answer: 2. M. Kansasii can cause a disease indistinguishable from tuberculosis

Explanation: “Mycobacterium kansasii produce human disease indistinguishable from tuberculosis”
M. kansasii i is the most pathogenic non tuberculous mycobacterial species affecting the lung, and the clinical features of M. kansasii disease resemble those of tuberculosis. Harrison 17/e p1030
NTM causing human infection- Refer chapter review.

About Other Options:

Option a: M.tuberculosis is equally pathogenic than M.bovis to the humans and Guinea pig. However, M.bovis but not M.tuberculosis is pathogenic to rabbit.
Option c: M. africanum belongs to the members of Mycobacterium tuberculosis complex. It is commonly found in West African countries, causing up to a quarter of cases of tuberculosis in countries such as the Gambia. ‘It is an infection of humans only and is spread by an airborne route from individuals with open cases of disease.’ 
Option d: ‘M. marinum causes swimming pool granuloma/fish trank granuloma/ fish fancier’s finger. Secondary lesions appear along with dermal lymphatics.’ (Sporotrichoid spread)